The root canal instrument most likely to break during use is a
1. File
2. Broach
3. Reamers
4. Spreaders

Correct answer: 2. Broach